Keratin specific to epidermal type differentiation are
1. K1, K2, K10, K12
2. K1, K3, K10, K12
3. K1, K2, K10, K13
4. K1, K2, K11, K13

Correct answer: 1. K1, K2, K10, K12